Time dependent deformation produced in a completely set solid subjected to a constant stress is termed as
1. Static creep
2. Elongation
3. Dynamic creep
4. Flexibility

Correct answer: 1. Static creep